Buspirone acts on
1. 5HT1A
2. 5HT1B
3. 5HT2
4. 5HT3

Correct answer: 1. 5HT1A

Explanation: Buspirone:- * Buspirone is a 5HT1A partial agonist used as an anxiolytic. * It is also used in relief of pain and related anxiety of functional dyspepsia associated with Irritable Bowel Syndrome. * Buspirone (atypical anxiolytic), in contrast to conventional Benzodiazepine anti-anxiety drugs: [?] Have minimal abuse liability [?] No withdrawal reactions on abrupt discontinuation [?] Lesser impairment of psychomotor skills and function Adverse effects of Buspirone:- Tachycardia, nervousness, GI distress, parasthesias and dose dependent miosis. Ref:- Goodman & Gilman Pharmacological Basis of Therapeutics 13th Ed; Pg num:- 230